Winter bottom sign in sleeping sickness caused by T. brucei Gambiense refers to:
1. Unilateral conjunctivitis
2. Posterior cervical lymphadenopathy
3. Narcolepsy
4. Transient erythema

Correct answer: 2. Posterior cervical lymphadenopathy

Explanation: Ans. is 'b' i.e., Posterior cervical lymphadenopathy(Ref: Harrison, 18th/e, p. 1720; 17th/e, p. 1304)* Lymphadenopathy, particularly of the posterior triangle of the neck - Winter bottom's sign.